The percentage of water in Liquor Amnii is:
1. 42%
2. 64%
3. 76%
4. 99%

Correct answer: 4. 99%

Explanation: 99%